During cap stage signalling in the odontogenic epithelium is done by:
1. Enamel knot.
2. Enamel cord.
3. Enamel septum.
4. Enamel navel.

Correct answer: 1. Enamel knot.

Explanation: Recent studies have shown that enamel knot acts as a signaling center as many important growth factors are expressed by the cells of the enamel knot and thus they play an important part in determining the shape of the tooth.